In a 8 day old child with no history of consanguinity in the parents. The mother reports blisters and peeling off of skin at the site of handling and pressure. There was a similar history in previous child which proved to be fatal. The diagnosis:
1. Bullous pemphigod
2. Conegntial Syphillis
3. Congential Epidermolysis bullosa
4. Letterrer siwe disease

Correct answer: 3. Congential Epidermolysis bullosa

Explanation: C i.e. Congenital Epidermolysis bullosa